CCEY medium is used for culture of?
1. C jejuni
2. C difficile
3. Yersinia pestis
4. Actinomycosis

Correct answer: 2. C difficile